Which is not seen in tuberous sclerosis?
1. Astrocytoma
2. Ependymoma
3. White matter lesions
4. Subpendymal nodules

Correct answer: 2. Ependymoma

Explanation: Tuberous sclerosis characterized by angiofibroma,astrocytoma,subependymal lesion and white matter lesion. Ref : Ghai essential of pediatrics, eighth edition, p.no:586